Ocular symptom not seen in Herpes zoster is-
1. Nummular keratitis
2. Glaucoma
3. Uveitis
4. Satellite lesions

Correct answer: 4. Satellite lesions

Explanation: The ocular lesions of herpes zoster ophthalmicus include conjunctivitis,zoster keratitis,episcleritis and scleritis,iridocyclitis,acute retinal necrosis,secondary glaucoma,anterior segment necrosis and phthisis bulbi and associated neurological complications such as motor nerve palsies.Reference:Comprehensive ophthalmology,AK Khurana,6th edition,page no.111